Features seen in hemolytic anemia are all, EXCEPT:
1. Tear drop and Burr cells
2. Reduced Haptoglobin
3. Reticulocytosis
4. Hemoglobinuria

Correct answer: 1. Tear drop and Burr cells

Explanation: The laboratory features of Hemolytic anemia are related to hemolysis per se and the erythropoietic response of the bone marrow. Hemolysis regularly produces in the serum an increase in unconjugated bilirubin and aspartate transaminase (AST); urobilinogen will be increased in both urine and stool. If hemolysis is mainly intravascular, the telltale sign is hemoglobinuria (often associated with hemosiderinuria); in the serum there is increased hemoglobin, lactate dehydrogenase (LDH) is increased, and haptoglobin is reduced. In contrast, the bilirubin level may be normal or only mildly elevated. The main sign of the erythropoietic response by the bone marrow is an increase in reticulocytes. Burr cells are seen in uremia.Tear drop cells are seen in myelofibrosis. Ref: Luzzatto L. (2012). Chapter 106. Hemolytic Anemias and Anemia Due to Acute Blood Loss. In D.L. Longo, A.S. Fauci, D.L. Kasper, S.L. Hauser, J.L. Jameson, J. Loscalzo (Eds), Harrison's Principles of Internal Medicine, 18e.